What happens to ETCO2 on increasing rate and depth of breathing
1. Increases
2. Decreases
3. Remain high
4. No change

Correct answer: 2. Decreases